Ehrlichia chaffeensis is causative agent of -
1. HME
2. HGE
3. Glandular fever
4. None

Correct answer: 1. HME